Which of the following type of cataract is most commonly associated with ageing?
1. Nuclear cataract
2. Intumescent cataract
3. Morgagnian cataract
4. Posterior subcapsular cataract

Correct answer: 1. Nuclear cataract

Explanation: Nuclear cataract is the most common and type and the one most commonly associated with ageing. It consist of a central diffuse opacification and coloration that involve the lens nucleus. Intumescent cataract is a form of cortical cataract where the nucleus is white and the capsular bag is swollen because of fluid absorption. Morgagnian cataract is a hypermature cataract in which entire lens capsule is wrinkled and total liquefaction of the cortex allows the nucleus to move freely in the bag and sink inferiorly due to effects of gravity. Ref: Cataract Surgery from Routine to Complex: A Practical Guide By George J. C. Jin, page 21.